Gravis, Intermedius and Mitis are biotypes of:
1. Clostridium perfringens
2. Corynebacterium diphtheria
3. Capnocytophaga
4. Klebsiella

Correct answer: 2. Corynebacterium diphtheria

Explanation: Ans. B. Corynebacterium diphtheriaGravis, Intermedius, Mitis and Belfanti are biotypes of Corynebacterium diphtheria. Gravis causes most severe disease.